Most common congenital anomaly of the upper renal tract is -
1. Duplication of renal pelvis
2. Duplication of ureter
3. Ectopic ureteric orifice
4. Congenital megaureter

Correct answer: 1. Duplication of renal pelvis